X-ray finding of osteomyelitis within 8 day is –
1. Cystic swelling
2. Soft tissue swelling
3. New bone formation
4. Sequestrum formation

Correct answer: 2. Soft tissue swelling

Explanation: Earliest X-ray finding of osteomyelitis is soft tissue swelling with loss of soft tissue planes.